Investigation of choice of diphtheria carrier is
1. Throat Swab Culture
2. Gram's stain
3. Albert's stain
4. Zeil Nelson's stain

Correct answer: 1. Throat Swab Culture

Explanation: One or two swabs from the lesions are collected under vision, using a tongue depressor. Smears stained with methylene blue or one of the special stains (Neisser's or Alberts) will show the bacilli with metachromatic granules and in the typical arrangement. Reference: Textbook of Microbiology; Anathanarayan and panicker's; 10th edition; Page no: 242